Gum hypertrophy is seen in -
1. Myelogenous leukemia
2. Myelomococytic leukemia
3. Lymphocytic leukemia
4. None

Correct answer: 2. Myelomococytic leukemia